In "obsetrics ultra sound" commonly employed range of frequency is:-
1. 3.5-5 MHz (Megahertz)
2. 5 - 7.5 MHz
3. 1 - 2.5 MHz
4. 8 - 10 MHz

Correct answer: 1. 3.5-5 MHz (Megahertz)

Explanation: Commonly employed range of frequency in obsetrics ultra sound - 3.5-5 Mega Hz ( Trans abdominal scan) Obstetrical USG Range of Frequency Trans abdominal scan (TAS) using convex probe 3.5 - 5 Mega Hz Trnsvaginal scan (TVS) using TVS probe 5 - 6.5 Mega Hz